Level of lower border of lung at mid axillary line is
1. 6th rib
2. 8th rib
3. 10th rib
4. 12th rib

Correct answer: 2. 8th rib

Explanation: B i.e. 8th rib